Which one of the following is false regarding primary adrenal hyperplasia?
1. Hyponatremia
2. Hypernatremia
3. Water retension
4. Hypokalemia

Correct answer: 1. Hyponatremia

Explanation: Primary adrenal hyperplasia leads to increased mineralocorticoid activity and hence sodium and water retention with increased potassium excretion. Primary adrenal hyperplasia (PAH) is a clinical finding that can only be realized after surgery. Findings of PAH include severe hypokalemia and hypertension responsive to spironolactone, and elevated supine plasma aldosterone and 18-hydroxycorticosterone values that did not increase after ambulation.